Indications of rectal examination in gynecology are all except:
1. In cases with mullerian agenesis
2. In virgin females
3. To differentiate rectocele from enterocele
4. For staging of ovarian malignancy

Correct answer: 4. For staging of ovarian malignancy

Explanation: Rectal examination can be done Virgin females Palpable pathology in pouch of Douglas To know the extent of carcinoma of cervix Parametritis Endometritis Ref: Shaw Gynecology 17e pg 6.